Ivor Lewis operation is done for
1. Carcinoma oesophagus
2. Achalasia cardia
3. Hiatus hernia
4. GERD

Correct answer: 1. Carcinoma oesophagus

Explanation: In carcinoma surgery alone is best suited to patients with disease confined to the oesophagus (T1b, T2)The most widely practiced oesophagotomy approach is the two-phase Ivor Lewis operation, especially distal tumors.Three-phase oesophagectomy (McKeown) may be more appropriate for more proximal tumours in order to achieve better longitudinal clearance,Ref: Bailey and Love 27e pg: 1092